Contracted kidneys are seen in all of the following diseases except
1. Chronic glomerulonephritis
2. Chronic renal failure
3. Amyloidosis
4. Analgesic nephropathy

Correct answer: 3. Amyloidosis

Explanation: Amyloidosis (am-uh-loi-DO-sis) is a rare disease that occurs when a substance called amyloid builds up in your organs. Amyloid is an abnormal protein that is produced in your bone marrow and can be deposited in any tissue or organ. Amyloidosis can affect different organs in different people, and there are different types of amyloid. Amyloidosis frequently affects the heart, kidneys, liver, spleen, nervous system and digestive tract. Severe amyloidosis can lead to life-threatening organ failure. Refer robbins 8/254